Lithium is used in the prophylactic treatment of -
1. Schizophrenia
2. MDP
3. Acute depression
4. Conversion reaction

Correct answer: 2. MDP